A patient is admitted with 3rd episode of deep venous thrombosis. There is no history of any associated medical illness. All of the following investigations are required for establishing the diagnosis except-
1. Proteing C deficiency
2. Antithrombin III deficiency
3. Antibodies to factor VIII
4. Antibodies to cardiolipin

Correct answer: 3. Antibodies to factor VIII